Oncocytes are found in all except
1. Thyroid
2. Pancreas
3. Pituitary
4. Pineal gland

Correct answer: 4. Pineal gland

Explanation: An oncocyte is an epithelial cell characterized by an excessive number of mitochondria, resulting in an abundant acidophilic, granular cytoplasm. Oncocytes can be benign or malignant. Ref Robbins 9/e endocrine chapter